The detection rate of Down syndrome with first-trimester screening with NT, PAPP-A, and hCG is
1. 64-70%
2. 80-84%
3. 94-96%
4. 99%

Correct answer: 2. 80-84%

Explanation: Selected Down Syndrome Screening Strategies and Their Detection Rate: Screening test Detection rate Quadruple screen 80-82% First-trimester screen NT alone 64-70% NT, hCG, PAPP-A 80-84% Integrated screening 94-96% Sequential screening Stepwise 92% Contingent 91% Cell-free DNA 91%